Albinism is due to deficiency of -
1. Homogentisate oxidase
2. Tyrosinase
3. Phenylalanine hydroxylase
4. Tyrosine transaminase

Correct answer: 2. Tyrosinase

Explanation: Ans. is 'b' i.e., Tyrosinase o Tyrosinase deficiency results in albinism.Metabolic diseaseEnzyme deficientMaple syrup urine diseaseMethyl-melonic aciduriaSweaty feet odor in bodyTyrosinemia I (Tyrosinosis)Tyrosinemia IINeonatal tyrosinemiaAlbinismBranched chain ketoacid dehydrogenaseMethyl-malonyl CoA mutase (isomerase)Isovaleryl-CoA dehydrogenaseFumarylacetoacetate hydroxylaseTyrosine transaminase (Tyrosine aminotransferase)Hydroxyphenyl pyruvate hydroxylaseTyrosinaseAlkaptonuriaPhenylketonuriaOrotic aciduriaHomocystinuriaLesh-Nyhan syndrome CystinosisHomogentisate oxidasePhenylalanine hydroxylaseOMP decarboxylaseCystathionine synthataseComplete deficiency of enzyme HGPRTCystine reductase